A person presents with the following parameters. pCO2 : 30 mm Hg, PO2 :105 mm Hg, pH : 7.45. He is having partially compensated -
1. Metabolic acidosis
2. Metabolic allcalosis
3. Respiratory acidosis
4. Respiratory alkalosis

Correct answer: 4. Respiratory alkalosis

Explanation: Increase in pH suggests alkalosis

PCO2 is decreased, this suggests respiratory alkalosis.
The metabolic component cannot be evaluated as data is not provided. So the diagnosis seems to be respiratory alkalosis.